Which is a protease inhibitor?
1. Azothymidine
2. Zidovudine
3. Squanavir
4. Acyclovir

Correct answer: 3. Squanavir

Explanation: (C) Squanavir